Putrefaction is delayed in all except ?
1. Warm moist atmosphere
2. Carbolic acid poisoning
3. Anemia
4. Heavy metals poisoning

Correct answer: 1. Warm moist atmosphere

Explanation: Ans. is 'a' i.e., Warm moist atmosphere Factors causing delay of putrefaction Temperature <0degC or > 48deg C (very high temperature). Dry weather and/or decreased air velocity. More than 2 meter deep grave. Tight clothing. Body in dry soil, and body packed in coffin. Infant not fed. Wasting diseases like anemia. Poisoning : Carbolic acid, ZnC12, strychnine (nux vomica), and heavy metals (arsenic, antimony). In water slower than in air (casper's dictum). Factors facilitating putrefaction Putrefaction is facilitated by (i) free access of air (ii) moisture and (iii) optimum warnth (10degC - 45deg C). Thus decomposition is fast in shallow damp, marshy shallow graves, in bodies without clothes and coffin.